The tendon of which muscle is involved when the tuberosity of the fifth metatarsal bone is avulsed in an inversion fracture
1. Abductor digi minimi
2. Peroneus brevis
3. Peroneus longus
4. Tibialis anterior

Correct answer: 2. Peroneus brevis

Explanation: .When the base of the fifth metatarsal is fractured, the peroneus brevismay pull on and displace the proximal fragment (Jones Fracture). An inversion sprain of the foot may pull the tendon such that it avulses the tuberosity at the base of the fifth metatarsal. Ref ganong's review of medical physiology 25e p468